During retinoscopy with a plane mirror from a distance of 1 M, no movement of pupillary red reflex with the movement of the mirror indicates:
1. Emmetropia
2. Myopia of 1 D
3. Hypermetropia of less than 1 D
4. All of the above

Correct answer: 2. Myopia of 1 D

Explanation: Ans. Myopia of 1 D